Maxwell Lyon sign is seen in which one of the following conditions?
1. Spring catarrh
2. Dendritic ulcerative keratitis
3. Sympathetic ophthalmitis
4. Angular conjunctivitis

Correct answer: 1. Spring catarrh

Explanation: Maxwell Lyon sign refers to presence of a fibrinous pseudomembrane which is seen in spring catarrh. Spring catarrh or vernal keratoconjunctivitis occur in two forms palpebral and limbal. Palpebral form is more common than limbal form. In this form upper palpebral conjunctiva is hypertrophied and show the presence of small to giant papillae. It is associated with a stringy conjunctival discharge or Maxwell Lyon sign. Limbal form: The striking lesion is seen at the limbus, where a wall of gelatinous thickening appears. With the disease progression thickening becomes irregular, and few white superficial nodules, and Horner Trantas spots appear at the limbus. Ref: Textbook of Ophthalmology By H. V. Nema, Nitin Nema 6th edn page 135.